Gene responsible for resistance to rifampicin
1. Rpo B gene
2. Kat G gene
3. Rpm B gene
4. Emb B gene

Correct answer: 1. Rpo B gene

Explanation: Ans. is 'a' i.e., Rpo B gene ATT Drug Gene responsible for drug resistance INH inhA and Kat G gene Ethambutol emb B gene Rifampicin rpoB gene Pyrazinamide pncA gene